In the court of law, the act of witness giving false evidence after taking oath is punishable under:
1. 191 IPC
2. 192 IPC
3. 193 IPC
4. 197 IPC

Correct answer: 3. 193 IPC

Explanation: Following IPCs: 191Deals with false evidence and is based upon recognition of decline of moral values and erosion of sanctity of oath. 192Fabricating false evidence. The wording of this Section is so general as to cover any species of crime that consists in the endeavour to injure another by supplying false data. 193 Punishment for giving or fabricating false evidence in judicial proceeding or in any other case. 197Issuing or signing a certificate knowing or believing that the certificate is false has been put on the same footing as the offence of giving false evidence. 198Using or attempting to use a certificate knowing or believing it to be false in some material point.